Study of Natural history is with
1. Ecological study
2. Longitudinal study
3. Cross - sectional study
4. All of the above

Correct answer: 2. Longitudinal study